Imprisonment for a term extending to seven years and also fine as punishment for voluntarily causing grievous hurt is under
1. 321 I.P.C
2. 322 I.P.C
3. 324 I.P.C
4. 325 I.P.C

Correct answer: 4. 325 I.P.C

Explanation: 325 IPC; Punishment for voluntarily causing grievous hurt. Imprisonment for a term extending to seven years and also fine